Most common site of rupture of aortic aneurysm in Marfan's syndrome is
1. Ascending aorta
2. Arch of aorta
3. Descending aorta
4. Abdominal aorta

Correct answer: 1. Ascending aorta